Which of the following is a dead end infection?
1. Tetanus
2. Vibrio
3. Staphylococcus
4. Hemophilus

Correct answer: 1. Tetanus

Explanation: ANSWER: (A) TetanusREF: Park 19th edition page 228, 239, 258"Human is the dead end host for Tetanus, Japanese encephalitis, Rabies and Hydatid cyst"